All of the following regarding adductor canal are true except
1. Roof - Sartorius
2. Contents - Femoral nerve
3. Anterolateral - Vastus medialis
4. Floor - Adductor longus and Magnus

Correct answer: 2. Contents - Femoral nerve

Explanation: Adductor canal : Anteromedial - Sartorius Posterior wall - Adductor longus and Magnus Lateral - Vastus medialis. Contents - subsartorial artery, subsartorial vein, saphaneous nerve, nerve to Vastus medialis. Ref: Gray's Anatomy The Anatomical Basics of Clinical Practice 41 e pg 1366.